All of the following can cause DIC during pregnancy except :
1. Diabetes mellitus
2. Amniotic fluid embolism
3. Intrauterine death
4. Abruptio placentae

Correct answer: 1. Diabetes mellitus

Explanation: Ans. is a i.e. Diabetes mellitus DIC is a pathological condition associated with inappropriate activation of coagulation and fibrinolytic system. It is a secondary phenomenon resulting from an underlying disease state.